Most common widespread zoonotic disease in the world is -
1. Rabies
2. Leptospirosis
3. Brucella
4. Anthrax

Correct answer: 2. Leptospirosis

Explanation: Leptospirosis is the most wide zoonotic disease in the world. Reference:Park's textbook of preventive and social medicine,K.Park,23rd edition,page no:291.